In pediatric epidural anaestheisia, volume of local anaesthetic given to cause sacral dermatome block is-
1. 0.5 -1 ml/kg
2. 2 - 4 ml/kg
3. 5 -10 ml/kg
4. None

Correct answer: 1. 0.5 -1 ml/kg

Explanation: Ans. is 'a' i.e., 0.5 - 1 ml/kg o Two most commonly used local anaesthetics for caudal block in children areBupivacaine -0.25% concentration in dose of 1 ml/kg.Ropivacaine -0.2% concentration in dose of 1.2 ml/kg.o For easy calculation of volume :-i) 0.5 ml/kg for sacral blockade.0.75 ml/kg for lower thoracic blockade.1.25 ml/kg for upper thoracic blockade.